Antisocial behaviour/ Dissocial personality is characterised by
1. Excessive sensitivity to suspiciousness
2. Emotional coldness and lack of pressure
3. Unconcern for feelings of others, disregard for social norms
4. Self dramatization and exaggerated expression of emotions

Correct answer: 3. Unconcern for feelings of others, disregard for social norms

Explanation: 1. Callous inconcern for the feelings of others. 2. Gross and persistent attitude of irresponsibility and disregard for social norms, rules and regulations, 3. incapacity to maintain enduring relationships, though having no difficulty in establishing them 4. very low tolerance to frustration and a low threshold for discharge of aggression, including violence. 5. incapacity to experience guilt or to profit from experience, particularly punishment. 6. marked proneness to blame others, or to offer plausible rationlisations, for the behaviour that has brought patient into conflict with society. Ref: ICD-10, CDDG, pg 159.